Best time to screen in Breast self examination (BSE) technique is:
1. Just before the menstruation
2. Just after the menstruation
3. During ovulation
4. 2-3 days post-ovulation

Correct answer: 2. Just after the menstruation

Explanation: Ans. (b) Just after the menstruationRef: K. Park 23rd ed. / 389-90* Breast self-examination (BSE) is a screening method used in an attempt to detect early breast cancer. The method involves the woman herself looking at and feeling each breast for possible lumps, distortions or swelling.* For pre-menopausal women, the most commonly recommended time is just after the end of menstruation, because the breasts are least likely to be swollen and tender at this time.* For postmenopausal, women or these having irregular cycles might do a self-exam once a month regardless of their menstrual cycle.